6 months old infant with Hb of 6 gm% has anaemic features with peripheral blood showing target cells. Family history of similar complaints is (Positive). Diagnosis can be best done with which of the following –
1. Hb electrophoresis
2. ELISA
3. Coomb's Test
4. Osmotic fragility

Correct answer: 1. Hb electrophoresis

Explanation: Presence of :


Anaemia (Hb < 6%),  
Target cells,
Increase reticulocytes suggests the diagnosis of thalassemia.


Thalassemia is a hemoglobin disorder. Hemoglobin disorders are diagnosed by electrophoresis.
Diagnosis of thalassemia is confirmed by serum electrophoresis.